If a drug is active against the pre-erythrocytic stage of the malarial parasite it will be useful as a:
1. Suppressive prophylactic
2. Causal prophylactic
3. Clinical curative
4. Radical curative

Correct answer: 2. Causal prophylactic

Explanation: If a drug is active against the pre-erythrocytic stage of the malarial parasite it will be useful as a Causal prophylactic. Stage killed Clinical Use Pre-erythrocytic Causal Prophylaxis Erythrocytic Clinical cure Suppressive Prophylaxis Exo-erythrocytic Radical cure Gametocytic Prevention of transmission